A 50 years old women present's with post coital bleeding. A visible growth on cervix is detected on per speculum examination. Next investigation is :
1. Punch biopsy
2. Colposcopic biopsy
3. Pap smear
4. Cone Biopsy

Correct answer: 1. Punch biopsy

Explanation: Ans. is a i.e. Punch biopsy